Changes in middle ear after birth are observed in?
1. Werdin's test
2. Ploucquet's test
3. Fodere's test
4. Breslau's test

Correct answer: 1. Werdin's test

Explanation: Ans. is 'a' i.e., Werdin's test Werdin's test: Before birth middle ear contains gelatinous embryonic tissue which is replaced by air after respiration.